Lifespan of transfused platelets is
1. <24 hours
2. 1-3 days
3. 3-5 days
4. 7-14 days

Correct answer: 3. 3-5 days

Explanation: Transfused platelets have an expected life-span of 3-4 days. This may be significantly reduced due to immune refractoriness, consumption, or sequestration. Most platelet products are transfused into non-bleeding thrombocytopenic patients. Thetransfusion "trigger" or threshold fortransfusion of these patients is now generally accepted to be 10,000/mL based on the results of a number of studies Ref bailey and love 27th edition ; pg 17-22